Ideal age for repair of vaginal agenesis is:
1. 6 months
2. 3 years
3. At puberty
4. Before marriage

Correct answer: 4. Before marriage

Explanation: Ans. is d, i.e. Before marriageRef: Shaw 15th/ed, p96* Repair of vaginal agenesis (in testicular feminization syndrome and Mayer Rokitansky-Kuster Hauser syndrome) is done by vaginoplasty.* Vaginoplasty should only be performed when the girl is just married or about to be married.Techniques:* Construction of artificial vagina by McIndoe operation (procedure of choice).* Williams vaginoplasty - creates a pouch out of labia majora dissection.* Amnion vaginoplasty.